Which of the following is most important factor for refractive errors:
1. Lens
2. Vitreous hemorrhage
3. Aqueous humour
4. Axial eyeball length

Correct answer: 4. Axial eyeball length

Explanation: Ans. D: Axial eyeball length The condition in which incident parallel rays of light do not come to focus upon the light-sensitive layer of the retina may be due to: Abnormal length of the globe-Most important Abnormal curvature of the refractive surfaces of the cornea and the lens Abnnormal refractive indices of the media-aqueous or vitreous. Abnormal position of the lens